A fetus born to a mother with history of fever with rash in first trimester of pregnancy shows chorioretinitis, cerebral cortical atrophy, cutaneous scarring and bone leg defects. Most probable cause is?
1. Maternal rubella
2. Maternal varicella
3. Maternal CMV
4. Maternal toxoplasma

Correct answer: 2. Maternal varicella

Explanation: Maternal varicella during the first half of pregnancy may cause congenital malformations by transplacental infection called congenital varicella syndrome Eye defects: Microphthalmia, chorioretinitis, cataracts Neurological: microcephaly, cerebral cortical atrophy, neurological dysfunction of bladder and bowel sphincters Cutaneous: scarring in dermatomal origin Bony defects: limb hypoplasia